An IQ between 50 & 70 would be classified as what kind intellectual disability -
1. Mild
2. Moderate
3. Severe
4. Borderline

Correct answer: 1. Mild

Explanation: Ans. is 'a' i.e., Mild